Absence of which amongst the following is the most common variation
1. Right colic artery
2. Middle colic artery
3. Left colic artery
4. Superior rectal artery

Correct answer: 1. Right colic artery

Explanation: The right colic artery arises from about the middle of the concavity of the superior mesenteric artery, or from a stem common to it and the ileocolic. It passes to the right behind the peritoneum , and in front of the right internal spermatic or ovarian vessels, the right ureter and the psoas major, toward the middle of the ascending colon; sometimes the vessel lies at a higher level, and crosses the descending part of the duodenum and the lower end of the right kidney. image ref - britannica.com